Proteins directed to which of the following organelles are synthesized by ribosomes attached to the rough endoplasmic reticulum?
1. Lysosomes
2. Mitochondria
3. Nucleus
4. Peroxisomes

Correct answer: 1. Lysosomes

Explanation: Proteins for many cellular destinations are synthesized by ribosomes which are attached to the endoplasmic reticulum. Proteins synthesized in this way include lysosomal enzymes, proteins located in the plasma membrane and proteins found in the endoplasmic reticulum itself. These proteins are transported through the endoplasmic reticulum to the Golgi cisternae where they are sorted into appropriate vesicles. In contrast, proteins required by the nucleus, mitochondria, and peroxisomes as well as cytoplasmic proteins are all synthesized by polyribosomes in the cytoplasm. Reference: Harper; 30th edition